Syndrome associated with xerostomia, xerophthalmia and an autoimmune connective tissue disease is:
1. Mickuliz disease
2. Primary Sjogren syndrome
3. Secondary Sjogren syndrome
4. None

Correct answer: 3. Secondary Sjogren syndrome

Explanation: Primary Sjogren’s syndrome is associated with dry mouth (xerostomia) and dry eyes (xerophthalmia).
Secondary Sjogren’s syndrome is associated with xerostomia, xerophthalmia, and an autoimmune connective tissue disease.